Lignocaine in high dose produces
1. Convulsion
2. Respiratory depression
3. Hypotension
4. All

Correct answer: 4. All

Explanation: A i.e. Convulsion; B i.e. Respiratory depression; C i.e. Hypotension Xylocaine is available in concentration of 5% (for subarachnoid-spinal anesthesia), 4% (topical) and .2% (2, 1.5, 1 and 0.5%) of which 0.5% is usually used for epidural. If it is asked that what is the max dose of Xylocaine with adrenaline the answer will be same i.e. 500 mgQ and ans. will be 300 mgQ when max dose of lignocaine without adrenaline is asked. Lidocaine is an amide and can l/t convulsions, bronchospasm, respiratory failure, depress hypoxia drive, and can cause apnea, bradycardia, hypotension & cardiac failureQ.